Most common form of leptospirosis:
1. Weil's disease
2. Icteric form
3. Hepatorenal form
4. Anicteric form

Correct answer: 4. Anicteric form

Explanation: Ans. (d) Anicteric form